Posterior fontanelle fuses at ?
1. 2-3 months
2. 12 months
3. 18-24 months
4. 36 months

Correct answer: 1. 2-3 months

Explanation: 2-3 months -fusion of posterior fontanelle. 18-24 months - fusion of anterior fontanelle.